In actinomycosis of the spine, the abscess usually erodes into which of the following structures?
1. Towards the skin
2. Intervertebral disc
3. Into the pleural cavity
4. Into the reteropritoneal space

Correct answer: 1. Towards the skin

Explanation: Actinomycosis is most commonly caused by Actinomyces israelii. It is characterized by the presence of abscess with sinus tracts leading to the skin. Ref: Diagnostic Radiology : Musculo-Skeletal and Breast Imaging By Jaypee Brothers, 2nd Edition, Page 141.